In rectal carcinoma, distal margin should be at least:
1. 2 cm
2. 3 cm
3. 4 cm
4. 5 cm

Correct answer: 1. 2 cm

Explanation: Tumor Margin For Curative Excision In GI malignancies (stomach, small intestine, colon and proximal rectum), tumor margin for curative excision is 5 cm except: Esophagus: 10 cm Distal rectum: 2 cm